The only drug whose over dosage is not characterized by both hypotension and bradycardia is:
1. Propanolol
2. Verapamil
3. Clonidine
4. Theophylline

Correct answer: 4. Theophylline

Explanation: Theophylline results in reflex tachycardia due to its vasodilatory action. Propanolol, verapamil and clonidine cause hypotension as well as bradycardia.